Indirectly cytopathic viruses kill cells by provoking an
1. Injury to DNA
2. Immune response
3. Injury to the cell membrane
4. Influx of potassium

Correct answer: 2. Immune response

Explanation: In contrast to directly cytopathic viruses, which cause cell death by damaging the cell membrane indirectly, cytopathic viruses produce antigenic proteins that are inserted into the cell membrane and are capable of evoking an immune response. Attack by immune lymphocytes, which recognize the viral protein as foreign, destroys the cell membrane.